In Ecological studies, the unit of Observation is the
1. Population
2. Patient
3. Individual
4. Case

Correct answer: 1. Population

Explanation: (A) Population[?]ECOLOGICAL STUDIESoCross-sectional, Case-control & Cohort studies and Trials (and not just population case-series) could also be analyzed in relation to such 'ecological' variables and such units of analysis.oMost ecological analyses are based on population case-series.oEcological analyses are subject to the ecological fallacy.oIn an ecological study, the units of analysis are groups of people rather than individuals.oEcological studies can also be done by comparing populations in different places at the same time or in a time series, by comparing the same population in one place at different times.oIn ecological studies the unit of observation is the population or community.oDisease rates and exposures are measured in each of a series of populations and their relation is examined.oOften the information about disease and exposure is abstracted from published statistics and therefore does not require expensive or time.oEcological Concept:-Deficiencies in the biomedical concept gave rise to other concepts.-Ecologists put forward an attractive hypothesis which viewed health as a dynamic equilibrium between man and his environment, and disease a maladjustment of the human organism to environment.-Health implies the relative absence of pain and discomfort and a continuous relative adaptation & adjustment to the environment to ensure optimal function.oHuman ecology is a subset of more general science of ecologyoHuman ecosystem includes in addition to the natural environment, all the dimensions of the man-made environment - physical, chemical, biological.Other Options[?]Patient:-A patient is any recipient of health care services.-Patient is most often ill or injured & in need of treatment by a physician, advanced practice registered nurse, physiotherapist, physician assistant, psychologist, dentist, podiatrist, veterinarian, or other health care provider.[?]Concept of Disease-A condition in which body health is impaired, a departure from a state of health, an alteration of the human body interrupting the performance of vital functions.-Ecological point of view: disease is defined as 'a maladjustment of the human organism to the human organism to the environment-Sociological point of view: disease is considered a social phenomenon, occurring in all societies and defined & fought in terms of the particular cultural forces prevalent in the society.-Simple definition 'disease is just the opposite of health1[?]Case:-A case is defined as 'a person in the population or study group identified as having the particular disease, health disorder or condition under investigation.-A variety of criteria (E.g. clinical, biochemical, laboratory) may be used to identify cases.-Primary case refers to the first case of a communicable disease introduced into the population unit being studied.-Index case refers to the first case to come to the attention of investigator; it is not always the primary case.-Secondary cases are those developing from contact with primary case.-Suspect case is an individual (or group of individuals) who has all of the signs and symptoms of a disease or condition, yet has not been diagnosed as having the disease or had the cause of the symptoms connected tot he suspected pathogen.